Which of the following is not a feature of ASBESTOSIS?
1. Pseudotumor of lung
2. Pleural plaques
3. Hilar adenopathy
4. Basal fibrosis

Correct answer: 3. Hilar adenopathy

Explanation: Ans. c (Hilar adenopathy) (Ref.RRM Radiology, 6th ed., p. 463)ASBESTOSIS: Radiological featuresPleural changesPulmonary changesAsbestos-related Malignancy# Pleural Effusion (21%)# Focal Pleural Plaques (65%)# Pleural Calcification# Bilateral diaphragmatic calcifications with clear costophrenic angles are PATHOGNOMONIC# Diffuse Pleural Thickening# 'Holy leaf' pleural calcification# The radiological features are similar to those of fibrosing alveolitis.# Unlike CWP, UZ are spared even in smokers.# Atelectatic Asbestos "Pseudotumor" ('Comet tail' appearance).# The most common of benign masses caused by asbestos exposure# Lung Cancer# Almost 100-fold T risk in smokers versus a 7-fold T risk in non- smokers. Bronchioloalveolar cell carcinoma (most common);# Bronchogenic Carcinoma (adenocarcinoma + squamous cell)# Malignant Mesothelioma# Gastrointestinal Neoplasm# Peritoneal mesothilioma# Laryngeal carcinoma.Additional Educational points:ILDs 1o affecting Uzs:(Mnemonic: UZs E-CLASS)ILDs 1deg affecting LZs:(Mnemonic: LZs - FAIL)# Extrinsic allergic alveolitis# Fibrosing alveolitis# Coal worker's pneumoconiosis# Asbestosis# Langerhans disease# Interstitial pulmonary edema# ABPA, Ankylosing spondylitis# Lymphangitis carcinomatosa# Sarcoidosis # Silicosis